IVC pierces the diaphgram at what vertebral level -
1. T6
2. T8
3. T10
4. T12

Correct answer: 2. T8

Explanation: Venacaval opening
-        Level- T8
-        At the central tendon of diaphragm
-        Structures transmitted-
o   Inferior vena cava
o   Right phrenic nerve